Regarding the normal curve, true is/are-
1. Both limbs of the curve touch the baseline
2. Curve is bilaterally symmetrical
3. There is a skew to the right
4. There is a skew to the left

Correct answer: 2. Curve is bilaterally symmetrical

Explanation: Ans. is 'b' i.e., Curve is bilaterally symmetrical o Confidence limit of normal curve can never be 100%; therefore, limbs of curve never touch the baseline. o Mean, Median and mode all coincide --> No skew.